All of the following are mediators of acute inflammation except is -
1. Angiotensin
2. Prostaglandin E2
3. Kallikrein
4. C 3a

Correct answer: 1. Angiotensin

Explanation: Basic Pathology, Robbins. Page no.: 45 Angiotensin is a peptide hormone that causes vasoconstriction and an increase in blood pressure. It is part of the renin-angiotensin system, which regulates blood pressure. Angiotensin also stimulates the release of aldosterone from the adrenal cortex to promote sodium retention by the kidneys.